Which of the following is used to compare the death rates of two different populations?
1. Crude death rate
2. Age specific death rate
3. Age standardized death rate
4. Proportional mortality rate

Correct answer: 3. Age standardized death rate

Explanation: If we want to compare the death rates of two populations with different age composition, the crude death rate is not a right yardstick.Age standardization removes the confounding effect of different age structures and yields a single standardized or adjusted rateref:park's textbook,ed23,pg 58